Inability to perform rapid alternating repeated movements is
1. Past pointing
2. Dysdiadochokinesia
3. Dysmetria
4. Dykinesia

Correct answer: 2. Dysdiadochokinesia

Explanation: Inability to perform rapid alternating repeated movements is dysdiadochokinesia Ref: Ganong 25th ed/page 251